Which of the following statement regarding Enteroccoccus is FALSE?
1. Common species are E. faecalis and E. faecium
2. It is a cause for peritonitis
3. It is universally susceptible to penicillin
4. It is a cause for intra abdominal abscess

Correct answer: 3. It is universally susceptible to penicillin

Explanation: Enterococci are not susceptible to penicillin but they may be resistant to penicillin. Ref: Medical Microbiology By Jawetz, 23rd Edition, Page 243; Textbook of Microbiology By Ananthanarayan and Panicker, 7th Edition, Pages 200-3, 212, 217; Harrison's Principles of Internal Medicine, 17th Edition, Page 889